For locating clasp patterns, which block out is used?
1. Parallel block out
2. Shaped block out
3. Arbitrary block out
4. Relief

Correct answer: 2. Shaped block out